During follow up of a case of acute otitis media, a 6 year old child found to have glue ear with no symptoms. Next step of management is:
1. Wait and watch
2. Antibiotics
3. Corticosteroids
4. Antihistamines

Correct answer: 1. Wait and watch

Explanation: Close to 90% of episodes of otitis media with effusion (glue ear) resolve spontaneously after an acute otitis media episode is diagnosed. The American Academy of Pediatrics 2004 consensus guideline recommends watchful waiting without immediate use of antibiotics for children with uncomplicated otitis media with effusion.